Eplerenone is:
1. Aldosterone antagonist
2. Can cause hyperkalemia
3. Diuretic
4. All of these

Correct answer: 4. All of these

Explanation: Ans. D. All of theseEplerenone like spironolactone is aldosterone antagonist. It is potassium sparing diuretic and can cause hyperkalemia.